Drug of choice in treatment of mycoplasma ?
1. Septran
2. Cefuroxime
3. Erythromycin
4. Chloramphenicol

Correct answer: 3. Erythromycin

Explanation: Ans. is 'c' i.e., Erythromycin DOCs of Mycoplasma - Erythromycin or doxycycline. o Alternatives - clarithromycin, azithromycin, fluroquinolones